Which of the following is a type of seronegative spondyloarthropathy ?
1. Rheumatoid arthritis
2. Gouty arthritis
3. CPPD
4. Reiter's disease

Correct answer: 4. Reiter's disease

Explanation: Ans. is 'd' i.e., Reiter's disease Seronegative spondyloartropathies :? The seronegative spondyloarthropathies are a group of disorders that share certain clinical features and genetic associations. The word seronegative referres to the absence of rheumatoid factor in this group of disorders. The seronegative spondyloarthropathies include :? Ankylosing spondylitis Reactive arthritis - Reiter syndrome and enteritis associated arthritis Psoriatic arthritis Arthritis associated with inflammatory bowel disease, i.e. enteropathic arthritis.